Which of the following hormones have greatest effect on granulation tissue in wound healing
1. ASH
2. Oestrogen
3. Cortisol
4. Parathormone

Correct answer: 3. Cortisol